Leptospira in diagnostic labs is grown in
1. Skirrows medium
2. EMJH medium
3. BYCE agar
4. Pike medium

Correct answer: 2. EMJH medium

Explanation: Leptospira can be grown in media enriched with rabbit serum. several liquid and semi-solid media, such as Korthof's, Stuart's and Fletcher's media, have been described. Semisynthetic media such as EMJH are now commonly used. They are aerobic and microaerophilic. Ref: Textbook of microbiology; Ananthanarayan and paniker's; 10th edition; Pg: 388